Watershed area between SMA and IMA which commonly result in ischemia is?
1. Hepatic flexure
2. Splenic flexure
3. Rectosigmoid Jn.
4. Ileocolic In.

Correct answer: 2. Splenic flexure

Explanation: There are several weak points in the colonic blood supply, known as watershed areas, which result from incomplete anastomoses of the marginal arteries.The two most common points are:- Griffith's point at the splenic flexure and- Sudeck's point at the rectosigmoid junction.Rectosigmoid junction is the watershed territory between IMA and the internal iliac artery.